Which of the following is FDA approved Anti-CTLA-4 immunotherapy agent for the treatment of metastatic melanoma?
1. Nivolumab
2. Lambrolizumab
3. Ipilimumab
4. Trametinib

Correct answer: 3. Ipilimumab

Explanation: TREATMENT OPTIONS FOR METASTATIC MELANOMA - Surgery: Metastasectomy for small number of lesions Immunotherapy: - Interleukin-2 - Immune checkpoint blockade FDA approved - Anti-CTLA-4: Ipilimumab Experimental - Anti-PD-1: Nivolumab, Lambrolizumab (Monoclonal antibody to programmed cell death-1 protein (PD-1); blocks the interaction between PD-1 and its ligands, PD-L1 and PD-L2 Molecular targeted therapy: - BRAF inhibitor: Vemurafenib, Dabrafenib - MEK inhibitor: Trametinib